All of the following are features of mumps, except?
1. Caused by paramyxovirus
2. Aseptic meningitis is a complication in children
3. Orchitis is a complication in adults
4. Incubation period is less than 2 weeks

Correct answer: 4. Incubation period is less than 2 weeks

Explanation: Ans. is 'd' i.e., Incubation period is less than 2 weeks